Scarring alopecia is seen in –
1. T. Capitis
2. Androgenic alopecia
3. Alopecia areata
4. Lichen planus

Correct answer: 4. Lichen planus